False about Q fever
1. Causative agent is Coxiella burnetii
2. Incubation period is 2-3 weeks
3. Vector is louse
4. Mode of transmission is inhalation of infected dust

Correct answer: 3. Vector is louse

Explanation: Only Ricketssial disease without any vector.